Splenic artery is a branch of:
1. Abdominal aorta
2. Renal artery
3. Coeliac trunk
4. Left gastric artery

Correct answer: 3. Coeliac trunk

Explanation: Ans. is 'c' i.e. Coeliac trunk Blood supply and nerve supply Arterial supply to spleen is through splenic artery, largest branch of coeliac trunk. Venous drainage is through splenic vein which unites with superior mesenteric vein to form portal vein behind neck of pancreas. Nerve supply is through coeliac plexus, which is sympathetic supply of spleen.